Drug of choice for paroxysmal supraventricular tachycardia is?
1. Metoproloi
2. Amiodarone
3. Adenosine
4. Lidocaine

Correct answer: 3. Adenosine

Explanation: ANSWER: (C) AdenosineREF: Harrison's Principles of Internal Medicine 17th ed chapter 226See APPENDIX-40 for "DRUGS USED IN ARRHYTHMIAS" DoseIndicationSide effectsAdenosine6-18 mg (rapid bolus)Terminate reentrant SVT involving AV nodeCough, flushingSVT - SUPRA VENTRICULAR TACHYCARDIA